Large for date baby may be due to :
1. Beckwith syndrome
2. Diabetic mother
3. Genetic predisposition
4. All

Correct answer: 4. All

Explanation: Ans. is d i.e. All Beck with syndrome : It is characterized by macrosomia, macroglossia and omphalocele. Cytogenetic location is 11q15 and is associated with Wilm's tumour of kidney. Diabetic mother : Maternal diabetes is an important risk factor for development of fetal macrosomia. Other risk factors which favour the risk likelihood of large fetus are : Large size of parents specially the mother who is obese Option "c".) Multiparity Prolonged gestation Increased maternal age Male fetus Previous infant weighing more than 4 kg Race / ethnicity.